Feer's disease is caused by toxicity of:
1. Arsenic
2. Antimony
3. Lead
4. Mercury

Correct answer: 4. Mercury

Explanation: Acrodynia is also known as Feer's disease or pink disease. It is caused by mercury toxicity. Ref :